Structures passing through the sigmoid (mandibular) notch are:
1. Auriculotemporal nerve
2. Mandibular nerve
3. Masseteric nerve and vessels
4. Chorda tympani

Correct answer: 3. Masseteric nerve and vessels

Explanation: The upper border of the ramus of mandible is thin, and is surmounted by two processes, the coronoid process anteriorly and the condyloid process posteriorly, separated by a deep concavity, the mandibular notch, or sigmoid notch. It allows the passage of the masseteric nerve (a branch of the mandibular nerve (V3) division of the trigeminal nerve), masseteric artery and masseteric vein.